Which of the following antimalarial drugs is a slow acting schizonticide
1. Artemether
2. Mefloquine
3. Pyrimethamine
4. Quinine

Correct answer: 3. Pyrimethamine

Explanation: Fast acting

M - Mefloquine
A - Atovaquone
C - Chloroquine
H - Halofantrine
A - Artemisinins
R - Res-Q 


Slow Acting drugs

Pyrimethamine
Sulfadoxine
Proguanil
Tetracyclines